USG probe is made up of:
1. Barium
2. Quartz
3. Sodium iodide
4. Diamond

Correct answer: 2. Quartz

Explanation: Ans. b (Quartz) (Ref: A user's guide to diagnostic ultrasound by Shirley Cusick-XVI, Rumac Diagnostic Ultrasound Vol I, 2nd/pg.10)# The ultrasound probe or the transducer is any device that converts one form of energy to another. In case of ultrasound, the transducer converts electric energy to mechanical energy and vice versa.# The ultrasound transducer uses the principle or property of piezoelectricity, which occur naturally in some materials whereby an applied electric field produces a change in linear dimensions.- Quartz, a naturally occurring piezoelectric material having the unique ability to respond to the action of an electric field by changing shape and to the change in polarity of voltage applied by generating small potentials and thus producing an ultrasound image.- Lead Zirconate titanate is synthetic material with piezoelectric property, currently used in USG probes.